Causes of epistaxis are all except
1. Allergic rhinitis
2. Foreign body
3. Tumour
4. Hypertension

Correct answer: 1. Allergic rhinitis

Explanation: Causes of epistaxis Trauma Infections Foreign bodies Neoplasms of nose and paranasal sinus Atmospheric changes Deviated nasal septum Hypertension Pregnancy Leukemia Liver disease Kidney disease Idiopathic Ref: Dhingra 7e pg 197.